Which drug is not used in SIADH:
1. Fludrocortisone
2. Demeclocycline
3. Desmopressin
4. Hypertonic saline

Correct answer: 3. Desmopressin

Explanation: Answer is C (Desmopressin) : Desmopressin has no role in the management of SIADH. In Acute SIADH, the keystone of treatment is to restrict total fluid intake to less than the sum total of insensible losses and urinary output. If more rapid correction of hyponatremia is desired, the fluid restriction can be supplemented by intravenous infusion of hypertonic saline. In chronic SIADH, the hyponatremia can be minimized by treatment with demeclocycline or fludrocortisone.